Episodic generalized weakness is associated with all except:
1. |K+
2. Lambert Eaton Syndrome
3. Myasthenia Gravis
4. Tuberculosis

Correct answer: 4. Tuberculosis

Explanation: Answer is D (Tuberculosis): Tuberculosis is not associated with Episodic Generalized Muscular Weakness.